False about larynx ?
1. 9 cartilages - 3 paired and 3 unpaired.
2. Extends from C3 to C6 vertebrae.
3. External laryngeal nerve supplies all laryngeal muscles except cricothyroid.
4. Cricothyroid is a tensor of vocal cord.

Correct answer: 3. External laryngeal nerve supplies all laryngeal muscles except cricothyroid.

Explanation: Larynx is made up of 9 cartilages : 3 paired & 3 unpaired. It extends from C3 - C6 vertebral level. All laryngeal muscles are supplied by recurrent laryngeal nerve except cricothyroid (supplied by external laryngeal nerve). Cricothyroid tenses the vocal cord .